Izumi fever is caused by:
1. Pseudomonas aeruginosa
2. Burkholderia mallei
3. Yersinia pseudotuberculosis
4. Pasteurella multocida

Correct answer: 3. Yersinia pseudotuberculosis

Explanation: Ans. is. 'c' i. e., Yersinia pseudotuberculosis